On Transvaginal Sonography (TVS) which of the following shapes of cervix indicate imminent preterm labour?
1. T
2. Y
3. U
4. O

Correct answer: 3. U

Explanation: On ultrasound examination, normal cervix is T shaped. As the internal cervical os opens and the membrane starts herniating to the upper part of endocervical canal, the cervical shape on ultrasound changes to a Y. With further progression of cervical changes, Y shape changes to V and ultimately to U. Thus, U shaped cervix on transvaginal sonography indicate imminent preterm labour. Ref: Textbook of Obstetrics By D. C Dutta, 6th Edition, Page 315; SOAP For Obstetrics And Gynecology By Peter S. Uzelac Page 50; Tips and Tricks in Operative Obstetrics and Gynecology By Richa Saxena Page 221.